In SDS-PAGE (Sodium Dodecyl Sulfate-Polyacrylamide Gel Electrophoresis) proteins are separated on basis ofa) Massb) Chargec) Densityd) Molecular weighte) Solubility
1. b
2. ad
3. ac
4. ab

Correct answer: 2. ad

Explanation: In SDS-PAGE the separation of molecules depends mainly on their molecular size.
Therefore, SDS-PAGE is commonly used for molecular weight determination.